Presence of calcification in an intracranial lesion is best made out by:
1. CT
2. MRI
3. Ultrasound
4. Contrast study

Correct answer: 1. CT

Explanation: Ans. CT